All of the following agents are used in the treatment of alcohol dependence, except
1. Flumazenil
2. Acamprosate
3. Naltrexone
4. Disulfiram

Correct answer: 1. Flumazenil

Explanation: The treatment of benzodiazepine intoxication is usually symptomatic. However, in cases of coma caused by benzodiazepine overdose, flumazenil (a benzodiazepine receptor antagonist) can be used. Acamprosate, Naltrexone are anti craving agents for alcohol abstinence. Disulfiram is a deterrent agent used in alcohol abstinence. Ref: Short textbook of Psychiatry by Ahuja 7th editon, page 51, 41,42.